Possible contra indications for periapical surgery are
1. Controlled diabetis mellitus
2. The danger of damage to adjacent structures
3. A history of rheumatic fever
4. Congenital heart disease

Correct answer: 2. The danger of damage to adjacent structures